Disability adjusted life year (DALY) is a measure of ?
1. Life expectancy
2. Effectiveness of treatment
3. Quality of life
4. Human development

Correct answer: 2. Effectiveness of treatment

Explanation: Ans. is 'b' i.e., Effectiveness of treatment Disability - adjusted life year (DALY) DALY is a measure of :- The burden of disease in a defined population The effectiveness of interventions It expresses years lost to premature death and years lived with disability adjusted for the severity of the disability. That means, DALY measures both mortality and disability together (in contrast to sullivan's index which is related to disability only). One DALY is one lost year of healthy life. DALY combines following : - Years of lost life (YLL). Years lost to disability (YLD) DALY = YLL + YLD Japanese life expectancy statistics are used as a standard for measuring premature death, as Japanese have the longest life expectancy. Health - adjusted life expectancy (HALE) HALE is the indicator used to measure healthy life expectancy. HALE is based on the life expectancy at birth but includes an adjustment for time spent in poor health. It is the equivalent number of years in full health that a newborn can expect to live based on current rates of ill health and mortality.